Which polyp has got the maximum risk of turning into malignancy ?
1. Pseudopolyp
2. Hyperplastic polyp
3. Tubular villous adenomas (multiple)
4. Adenomatous polyps

Correct answer: 3. Tubular villous adenomas (multiple)

Explanation: Ans. is 'c' i.e., Tubular villous adenomaNon-Neoplastic Polyps PolypsLocationHistologicaltypeRisk ofmalignancyAssociatedlesionsHyperplastic polypsColonHyperplastic colonicepithilial cellsRare Juvenile polypsLarge and smallintestine and stomachHamartomasRareoPigmentation in mouthPeutz-jegherssyndromeJejunum (mainly)rest of intestineHamartomasRaredegTumours of the Averybreast, endometriumand pancreasNeoplastic Polyps Tubular adenontatouspolypLarge and smallintestine, stomachAdenomaAbout 1-3 % Villuous adenomaLarge intestineAdenomaAbout 40 % Familial polyposis tollLarge intestineAdenoma100 %o Bone and soft tissuelesionso Ampullary cancer Gardner's syndromeLarge & smallintestineAdenoma100%o Congenitalhypertrophy ofretinal pigmentepithelium Turcot's syndromeLarge intestineAdenoma100%o Brain tumours o Pseudopolyps associated with inflammatory bowel disease (and amoebic & ischemic colitis) are not premalignat lesions -